Nicotinic receptors are seen in all except:
1. Neuromuscular junction
2. Autonomic ganglia of autonomic nervous system
3. Bronchial smooth muscle
4. Brain

Correct answer: 3. Bronchial smooth muscle

Explanation: Ans. C: Bronchial Smooth MuscleThe nicotinic cholinergic receptors are found in the neuromuscular junctions of somatic muscles; stimulation of these receptors causes muscular contraction. They are also found in the autonomic ganglia of autonomic nervous system andcentral nervous systemMuscarinic receptors are found in:M 1-brain M 2-heaM 3-smooth muscleM 4-smooth muscle, pancreatic acinar and islet tissue